Receiver operator characteristic (ROC) curve is usually drawn between -
1. Sensitivity and ( 1- specificity)
2. (1- sensitivity) and specifivity
3. Sensitivity and specificity
4. (1- sensitivity) and (1-specificity)

Correct answer: 1. Sensitivity and ( 1- specificity)

Explanation: Ref:Parks 23rd edition X-axis : (1-specificity) Y-axis : Sensitivity. Receiver operator curve is used to find out the cutoff Cutoff nearest to the ideal line is considered to be the best cutoff.